In Marfan's syndrome which of the following is affected
1. Collagen
2. Fibrillin
3. Actin
4. Fibronectin

Correct answer: 2. Fibrillin

Explanation: It is a connective tissue disorder. Affects fibrillin 1 gene. Clinical features include; Visual difficulties long limbs heart problems etc Refer robbins 145